Colesevelam is a
1. HMG Co enzyme inhibitor
2. Insulin secretogogue
3. Bile acid sequestrant
4. Alpha glucosidase inhibitor

Correct answer: 3. Bile acid sequestrant

Explanation: It is a bile acid sequestrantIt bind bile acids but mechanism of glucose lowering not known.